Not a feature of optic neuritis:
1. Marcus gunn pupil
2. Reduced color vision
3. Central scotoma
4. Large cup of optic nerve head

Correct answer: 4. Large cup of optic nerve head

Explanation: Large optic nerve head is seen in glaucoma, not in optic neuritis. Features of Optic Neuritis (ON) Abrupt vision loss with pain. RAPD (Marcus gunn pupil) Papillitis Macular star in neuroretinitis Decreased contrast sensitivity, colour vision, dark adaptation characteristic. Field defect: Swiss cheese visual field/central/ centrocecal scotoma Delayed VER (Visual Evoked Response) MC systemic disorder a/w Optic neuropathy is MS (Multiple sclerosis)